What is the role of Weiger's ligament?
1. Attachment of vitreous to the retina
2. Attachment of vitreous to orra serrata
3. Attachment of vitreous to optic disc
4. Attachment of vitreous to posterior surface of lens

Correct answer: 4. Attachment of vitreous to posterior surface of lens

Explanation: During childhood, Weiger's ligament (hyaloido capsular ligament) helps in the attachment of vitreous to the posterior surface of the lens. Vitreous is attached to the internal limiting membrane of retina from 2mm anterior to the ora serrata to the edges of the optic disk. The attachment is quite firm at the macula and vitreous base and in peripapillary region. A hyaloid canal (Cloquet's canal) runs down the the centre of the vitreous body from the optic disc to the posterior pole of the lens. Ref: Comprehensive Ophthalmology by AK Khurana, 4th edn, page 243